Which drug is excreted unchanged in urine ?
1. Verapamil
2. Furosemide
3. Propranolol
4. Thiopentone

Correct answer: 2. Furosemide

Explanation: Ans. is 'b' i.e., Furosemide Furosemide pharmacokinetics Furosemide is rapidly absorbed orally but bioavailability is about 60%. Lipid solubility is low and it is highly bound to plasma proteins. It is pay conjugated by glucuronic acid and is mainly excreted unchanged by glomerular filtration and tubular secretion.